Pyogenic granuloma, and parulis are examples of
1. Varicosities
2. Peripheral mesenchymal premalignancy
3. Inflammatory hyperplasias
4. Central exophytic lesions

Correct answer: 3. Inflammatory hyperplasias